Congenital Wilson's disease is characterized by –
1. KF ring is present at birth
2. May present as acute hepatitis
3. Decreased Urinary copper excretion
4. Decreased hapatic copper concentration

Correct answer: 2. May present as acute hepatitis

Explanation: KF ring develop after sometime due to deposition of copper in cornea.
It may present as acute or chronic liver disease.
Hepatic copper concentration and urinary excretion of copper are incerased.